Hymen tear in virgin is most commonly located at -
1. 4-8 O'clock
2. 5-11 O'clock
3. 9-12 O'clock
4. 1-6 O'clock

Correct answer: 1. 4-8 O'clock

Explanation: Ref: Textbook of Forensic medicine and toxicology (V.V.Pillay) 17th edition, page no.355 As a result of sexualintercourse, hymen is usually torn posteriorly, with unilateral or bilateral tears extending to the point of its attachment to the vaginal wall. These ruptures bleed freely when, heal by scar formation.